Increased BP & decreased heart rate is seen in
1. Hemorrhage
2. High altitude
3. Raised intracranial pressure
4. Anemia

Correct answer: 3. Raised intracranial pressure

Explanation: Raised intracranial pressure initiates Cushing’s reflex. Cushing’s reflex leads to a rise in arterial pressure, which restores the blood supply to the brain. At the same time, the raised BP causes reflex Bradycardia through the baroreceptors.